What is the normal pH of human blood
1. 7
2. 7.2
3. 7.35 to 7.4
4. 7.6

Correct answer: 3. 7.35 to 7.4